Derealisation and depersonalisation seen in which type of disorder
1. Dissociative disorder
2. Personality disorder
3. Mania
4. Depression

Correct answer: 1. Dissociative disorder

Explanation: Depersonalisation: an altered sense of one's physical being, including feeling that one is outside of one's own body, physically cut off or distanced from people, floating, observing oneself from distance, as though in a dream. Derealisation: experiencing the environment as unreal or distorted. These are seen in Dissociative disorders. Ref: Synopsis of Psychiatry, 11e, pg 295.